What is the situation of the knot of ligature in cases of typical hanging?
1. In front of chin
2. Angle of mandible
3. Occiput
4. Mastoid

Correct answer: 3. Occiput

Explanation: Ans. is 'c' i.e., Occiput Typical hanging : The ligature runs from the midline above the thyroid cartilage, symmetrically upward on both side of neck to the occipital region, the point of suspension (knot of ligature) being on occiput (at nape of neck). Atypical hanging : Any variation from typical knot site (i.e. other than occiput/nape of neck) is called atypical hanging. Most common site of knot is near one side of mastoid process or angle of mandible.